What is TRUE about adductors of thigh
1. Ischial head of adductor magnus is an adductor
2. Popliteal artery is the main blood supply
3. Ischial head of adductor magnus originates from adductor tubercle
4. Adductor magnus is the largest muscle

Correct answer: 4. Adductor magnus is the largest muscle

Explanation: Adductor magnus is the largest muscle and is a hybrid muscle having two parts. Posterior ischial head of adductor magnus, takes origin from ischial tuberosity and is a hamstring part (not adductor). Adductor tubercle receives the insertion (not origin) of adductor magnus. Profunda femoris artery provides major supply to all the three compartments of thigh including medial (adductor) compartment.